Virus mediated transfer of host DNA from one cell to another is known as:
1. Conjugation
2. Transduction
3. Transformation
4. Integration

Correct answer: 2. Transduction

Explanation: Transduction is the process by which DNA is transferred from one bacterium to another by a virus. It also refers to the process whereby foreign DNA is introduced into another cell a viral vector. Transduction does not require cell-to-cell contact (which occurs in conjugation), and it is DNAase resistant. It is a common tool used by molecular biologists to stably introduce a foreign gene into a host cell's genome. Depending of the type of life cycle in different phage species two types of transduction can occur. They are generalized and specialized transduction. Ref: Review of Medical Microbiology and Immunology, 11th Edition, Chapter 4;Biology of the Prokaryotes By J. Lengeler, Page 406; Lateral DNA Transfer: Mechanisms and Consequences By Frederic Bushman, Page 6